Adson test is positive in:
1. Cervical spondylosis
2. Cervical rib
3. Cervical vertebra fracture
4. Superior vena cava syndrome

Correct answer: 2. Cervical rib

Explanation: Ans. B: Cervical rib Adson's test is used to assess for the presence of Thoracic Outlet Syndrome (cervical rib) at the scalene triangle. The patient is examined standing. The examiner palpates the radial pulse while moving the upper extremity in abduction, extension, and external rotation. The patient then is asked to rotate her head toward the involved side while taking a deep breath and holding it. A positive exam will result in a diminished or absent radial pulse.